100 women, followed up for 20 months, with OCPs, 5 became pregnant. Calculate the Pearl Index
1. 1
2. 2
3. 3
4. 4

Correct answer: 3. 3